Which of the following agents used in hypertension is a prodrug that is converted to its active form in the brain?
1. Doxazosin
2. Methyldopa
3. Clonidine
4. Nitroprusside

Correct answer: 2. Methyldopa

Explanation: Methyldopa (L-a-methyl-3,4-dihydroxyphenylalanine) is an analog of L-dopa. Methyldopa enters the brain an aromatic amino acid transporter and is converted to a-methyldopamine and a-methylnorepinephrine. Antihypertensive action appears to be due to stimulation of central a adrenoceptors by a-methylnorepinephrine or a-methyldopamine.Katzung Pharmacology 12th edition Pg: 175